What is a xenograft:
1. Transplantation of organs from a 1st degree relative
2. Transplantation of organs from unrelated donor
3. Transplantation of tissues from self
4. Transplantation of living tissues/organs from one species to another

Correct answer: 4. Transplantation of living tissues/organs from one species to another

Explanation: Ans. (d) Transplantation of living tissues/organs fromone species to anotherRef: Bailey & Love 26th ed./833* Xenotransplantation is the transplantation of living cells, tissues or organs from one species to another. Such cells, tissues or organs are called xenografts or xenotransplants.* In contrast, the term allotransplantation refers to a same-species transplant. Human xenotransplantation offers a potential treatment for end-stage organ failure, a significant health problem in parts of the industrialized world.